Pyruvate dehydrogenase complex requires all the following coenzymes, Except
1. FAD
2. NAD+
3. THF
4. TPP

Correct answer: 3. THF

Explanation: COA, TPP (thiamine pyrophosphate), Lipoate, FAD, NAD+ cofactors are part of pyruvate dehydrogenase complexreaction. Ref: Biochemistry by U. Satyanarayana 3rd edition Pgno : 252